At physiological pH, carboxy terminal of peptide is
1. Positive charged
2. Negative charged
3. Neutral
4. Infinitely charged

Correct answer: 2. Negative charged

Explanation: In ion-exchange chromatography, proteins interact with the stationary phase by charge-charge interactions. Proteins with a net positive charge at a given pH will tightly adhere to beads with negatively charged functional groups such as carboxylates or sulfates (cation exchangers).
 
Harper, Ed 30, Pg 27